Grievous hurt comes under which section of I PC?
1. Section 319
2. Section 320
3. Section 324
4. Section 326

Correct answer: 2. Section 320

Explanation: ANSWER: (B) Section 320REF: Textbook of Forensic Medicine and Toxicology by Nagesh Kumar Rao Page 259Section 320: Grievous hurtThe following kinds of hurt only are designated as "grievous"EmasculationPermanent privation of the sight of either eyePermanent privation of the hearing of either earPrivation of any member or jointDestruction or permanent impairing of the powers of any member or jointPermanent disfiguration of the head or faceFracture or dislocation of a bone or toothAny hurt which endangers life or which causes the sufferer to be during the space of twenty days in severe bodily pain, or unable to follow his ordinary pursuits,